During starvation, which of the following shows the most marked increase in plasma concentration?
1. Free fatty acids
2. Glucose
3. Glycogen
4. Ketone bodies

Correct answer: 4. Ketone bodies

Explanation: Under starvation conditions, ketone bodies are made in the liver and provide a major metabolic fuel source for skeletal and heart muscle and can serve to meet some of the brain's energy needs. Ref : Biochemistry by U. Satyanarayana 3rd edition Pgno : 295